Drug of Choice for Severe Mastitis
1. Cefphalosporins
2. Erythromycin
3. Augmentin
4. Cloxacillin

Correct answer: 4. Cloxacillin

Explanation: * MC organism causing Mastitis- Staphylococcus aureus * Drug of Choice is- Cloxacillin Ref:- Surgery Sixer 3rd Edition; Pg num:- 268